Treatment of ameloblastoma
1. Excision of tumour
2. Resection of the mandible along with the tumour
3. Incisional biopsy and marsupialisation
4. No active treatment is necessary

Correct answer: 2. Resection of the mandible along with the tumour